Iron is stored in -
1. Bone marrow
2. Liver
3. Spleen
4. All of the above

Correct answer: 4. All of the above